Post resection of terminal ileum, deficiency of which of the following vitamins is seen along with Steatorrhea:
1. B12
2. B9
3. C
4. B6

Correct answer: 1. B12

Explanation: Ans. (a) B12Ref: Harrison 18th ed, ch. 294* Post resection of ileum, vitamin B12 deficiency is seen.* Steatorrhea is fat malabsorption leading to malodorous stools. Fat malabsorption leads to deficiency of vitamin A,D,E,K.